All of the following heart sounds occur shortly after S2, EXCEPT:
1. Opening snap
2. Pericardial knock
3. Ejection click
4. Tumor plop

Correct answer: 3. Ejection click

Explanation: Pericardial knock, Opening snap, and Tumor plop occurs shortly after S2. Ejection click occurs after S1.